The term Bennett's fracture is used to describe
1. Fracture-dislocation of metacarpophalangeal joint of thumb
2. Interphalangeal fracture dislocation of thumb
3. Anterior marginal fracture of distal end of radius
4. Fracture dislocation of trapezometacarpal joint

Correct answer: 4. Fracture dislocation of trapezometacarpal joint

Explanation: D i.e. Fracture dislocation of trapezometacarpal joint